Posterior pancreatic duct disruption will lead to:
1. Pancreaticopleural fistula
2. Pancreatic ascites
3. Pseudocyst of pancreas
4. Walled off pancreatic necrosis

Correct answer: 1. Pancreaticopleural fistula

Explanation: If the pancreatic duct disruption is posterior produces pleural effusion (pancreaticopleural fistula) usually left-sided and often massive. If the pancreatic duct disruption is anterior, amylase-rich peritoneal fluid accumulate (pancreatic ascites). Reference: Harrisons Principles of Internal Medicine, 18th Edition, Page 2643